Pseudohyponatremia occurs in which of the following conditions
1. SIADH
2. CHF
3. Hyperlipidemia
4. Severe dehydration

Correct answer: 3. Hyperlipidemia

Explanation: Certain conditions that interfere with laboratory tests of serum sodium concentration (may lead to an erroneously low measurement of sodium. This is called pseudo hyponatremia. a. Hyperlipidemia b. Hyper paraproteinemia (Multiple myeloma) c. Severe hyperglycemia (DKA, NKHOC) ref - harrison's internal medicine 20e pg301